Whitmore's bacillus is
1. H. influenzae
2. B. mallei
3. B. pseudomallei
4. B. cepaciae

Correct answer: 3. B. pseudomallei

Explanation: Bacteria EponymsCorynebacterium pseudotuberculosis Nocard bacillus Hemophilus aegypticus Koch weeks bacillus Hemophilus influenzaPfeiffer's bacillus Klebsiella pneumoniaFreidlanders bacillus Mycobacterium chelonei Turtle tubercle bacillus Mycobacterium fortuitum Frog tubercle bacillus Mycobacterium intracellulare Battey bacillus Mycobacterium paratuberculosis Johnes bacillus Mycoplasma pneumoniaEaton agent Burkholderia pseudomallei Whitmore's bacillus (Ref: Ananthanarayan 9th edition, )